In central nervous system, the cell that scavenges the debris created after breakdown of an axon and its myelin:
1. Microglia
2. Macrophages
3. Astrocytes
4. Neutrophils

Correct answer: 1. Microglia

Explanation: Macrophages are responsible for the phagocytosis of various cell debris in the body. Macrophages in various organs are given special names. eg: Kupffer cells - liver Microglia - brain Osteoclasts - bone Dust cells - lungs.